The first layer of porcelain applied on to a metal in PFM crowns would be
1. Opaque
2. Body
3. Incisal
4. Both 1 and 2

Correct answer: 1. Opaque